All are derivatives of first pharyngeal arch except
1. Mylohyoid
2. Tensor tympani
3. Tensor veli palatini
4. Stylopharyngeus

Correct answer: 4. Stylopharyngeus

Explanation: Derivatives of the first pharyngeal arch aremuscles of mastication (chewing)massetermedial and lateral pterygoid musclestemporalismylohyoid muscledigastric muscle, anterior bellytensor veli palatini muscletensor tympani muscleStylopharyngeus belong to 3rd arch